Gene associated with familial adenomatous polyposis is?
1. p53
2. Rb
3. APC
4. RET

Correct answer: 3. APC

Explanation: Ans. is 'c' i.e., APC * Li-Fraumeni syndrome is due to germ line mutation in p-53 gene.SyndromeGeneChromosome* Familial adenomatous polyposis* APC* 5q21* Familial Wilms tumor* WTl* 11p13* Hereditary breasti ovarian cancer* BRCA1* BRCA2* 17q21* 13q12.3* Hereditary retinoblastoma* RBI* 13q14.2* Multiple endocrine neoplasia type 1* MENl* 1lq13* Multiple endocrine neoplasia type 2a* RET* 10q11.2* Neurofibromatosis type 1* NFl* 17q11.2* Neurofibromatosis type 2* NF2* 22q12.2* Li-fraumeni syndrome* p53* 17* Melanoma* p16INK4A